Disorientation occurs in:
1. Schizophrenia
2. Organic brain syndrome
3. Depression
4. Mania

Correct answer: 2. Organic brain syndrome

Explanation: Presence of disturbances of consciousness and disorientation is suggestive of organic mental disorders.